The bottle feeding should be discontinued by the age of:
1. 12 months
2. 8 months
3. 18 months
4. 20 months

Correct answer: 1. 12 months

Explanation: Prolonged bottle feeding more than 1 year can lead to ECC.